Nalgonda tech is used for
1. Deflouridation
2. fluoridation
3. Purification of water
4. None

Correct answer: 1. Deflouridation